Sauce and cheese retinopathy is seen in :
1. CMV
2. Rubeua
3. Toxoplasmosis
4. Congenital Syphilis

Correct answer: 1. CMV

Explanation: A i.e.CMV